ACNA is sensitive and specific for:
1. Post streptococcal glomerulonephritis
2. Idiopathic cresentic glomerulonephritis
3. Diffuse glomerulosclerosis
4. Henoch's schonlein_purpura

Correct answer: 2. Idiopathic cresentic glomerulonephritis

Explanation: Answer is B (Idiopathic crecentric glomerulonephritis) Crescentric glomerulonephritis is associated with antimyeloperoxidase antibodies. The major target for perinuclear ANCA (p-ANCA) is the enzyme myeloperoxidase